Uterine artery is a branch of:
1. Aorta
2. Common iliac
3. Internal iliac
4. External iliac

Correct answer: 3. Internal iliac

Explanation: Ans. is c, i.e. Internal iliac arteryRef: Shaw 14th/ed, p17Uterine artery is a branch of anterior division of internal iliac artery